The cancerogenic chemical that has a very long latent period is -
1. Benzopyrine
2. Vinyl chloride
3. Asbestos
4. Estrogens

Correct answer: 3. Asbestos

Explanation: Asbestos exposure for a long period causes asbestosis. They entire the body through inhalation and are deposited in the alveoli. The long exposure of dust can lead to carcinoma of bronchus. (REF. PARK'S TEXTBOOK OF PREVENTIVE AND SOCIAL MEDICAL 21ST EDITION. PAGE NO - 748)